Using Naegele rule, calculate the due date if last menstrual date is july 5th?
1. October 8th
2. April 8th
3. October 12th
4. April 12th

Correct answer: 4. April 12th

Explanation: A quick estimate of a pregnancy due date based on menstrual data can be made as follows: add 7 days to the first day of the last period and subtract 3 months. For example, if the first day of the last menses was July 5, the due date is 07 minus 3 (months) with 05 plus 7 (days) = 04-12, or April 12 of the following year. This calculation has been termed as Naegele rule.Ref: Embryogenesis and Fetal Morphological Development